Most common INDIRECT cause of maternal mortality:
1. Sepsis
2. Hemorrhage
3. Obstructed labor
4. Anemia

Correct answer: 4. Anemia

Explanation: Ans. (d) Anemia* Most common Indirect cause of maternal mortality in India: Anemia* Most common cause of maternal mortality in India: Post partum hemorrhage (PPH)* Most common direct cause of MMR: PPHDirect maternal mortalityIndirect maternal mortalityIt results from obstetric complication of pregnant state (pregnancy, labor and puerperium) from interventions or incorrect treatment.It results from previous existing disease or disease that develops during pregnancy.Ex: PPH, Obstructed labor, SepsisAnemia, HTN, gestational DM, Epilepsy